Calcification of intervertebral disc is seen in -
1. Gout
2. Rheumatoid arthritis
3. Alkaptonuria
4. Psoriasis

Correct answer: 3. Alkaptonuria

Explanation: Intervertebral disc calcification seen in : Ochronosis /Alkaptonuria Ankylosing spondylitis Pseudogout Hemochromatosis Hypervitaminosis D Transient intervertebral disc calcification Juvenile chronic arthritis Hyperparathyroidism Amyloidosis Poliomyelitis Acromegaly